Most common testicular tumor in Pre pubertal age
1. Seminomas
2. Sertoli cell tumors
3. Leydig cell tumors
4. Yolk sac tumors

Correct answer: 4. Yolk sac tumors

Explanation: Yolk sac tumors are most commonly found in pre pubertal age group.